Silver impregnation method of staining is useful to demonstrate
1. Bacterial flagella
2. Spirochetes
3. Both of the above
4. None of the above

Correct answer: 3. Both of the above